Ideal intubating position (modified chevalier Jackson position) is
1. Flexion of neck and extension of head
2. Extension neck and extension of head
3. Flexion of neck and neutral position of head
4. Extension of head and neutral position of head

Correct answer: 1. Flexion of neck and extension of head

Explanation: It is also called morning sniffing position or barking dog position. Explanation Prior to direct laryngoscopy and intubation, the patient is placed in the sniffing position which consists of cervical flexion with atlantooccipital extension. This is to ensure a line of sight from the mouth to the larynx so that intubation can be performed with ease. Cervical flexion of 35 degrees is provided by elevating the patient's head by 7-9 cm (folded sheet under the head). This aligns the pharyngeal and laryngeal axes. Atlantooccipital extension is provided by the head tilt. This brings into alignment the visual axis of the mouth with that of pharyngeal and laryngeal axes. Adequacy of head elevation can be estimated by checking the horizontal alignment between external auditory meatus and sternal notch.